A 2 year old child has a weight of 6.4 kg. and has vitamin A deficiency.What is the grade of malnutrition in this child -
1. First degree
2. Second degree
3. Third degree
4. Fourth degree

Correct answer: 3. Third degree

Explanation: Ans. is 'c' i.e., Third degree o Normal expected weight at 2 years of age is 12 kg. o This child has a weight of 6.4 kg, i.e. 53.3% of the expected. o So, this child is having grade III (51-61% of expected weight) malnutrition.